Succinylcholine causes hyperkalemia in patients with ?
1. Burn
2. Severe infection
3. High velocity trauma
4. All of the above

Correct answer: 4. All of the above

Explanation: Ans. is'd' i.e., All of the above